Oblique Facial Cleft is due to non-fusion of:
1. Medial Nasal & Lateral Nasal Process
2. Maxillary process & Mandibular Process.
3. Maxillary process & Medial Nasal Process
4. Maxillary process & Lateral Nasal Process

Correct answer: 4. Maxillary process & Lateral Nasal Process

Explanation: Ans. D. Maxillary process & Lateral Nasal ProcessOblique facial clefts are produced by failure of the maxillary prominence to merge with its corresponding lateral nasal prominence. When this occurs, the nasolacrimal duct is usually exposed to the surface